A patient with acute inferior wall myocardial infarction has developed shock. Which of the following is the most likely cause of shock
1. Cardiac rupture
2. Inteventricular septal perforation
3. Papillary muscle rupture
4. Right ventricular infarction

Correct answer: 4. Right ventricular infarction